Which of the following is the new drug for the treatment of multi drug resistant tuberculosis
1. Bedaquline
2. Linezolide
3. Levofloxacin
4. Cefepime

Correct answer: 1. Bedaquline

Explanation: Refer Harrison 19th/p1115 Bedaquline is a new drug approved for MDT tuberculosis. It acts by inhibiting ATP synthatase in mycobacterium . Major adverse effects of this drug is "QT prolongation